Chauffers fracture involves what ?
1. Radial head
2. Radial styloid process
3. Ulnar styloid process
4. Base of 1st metacarpal

Correct answer: 2. Radial styloid process

Explanation: Chauffeur's fracture, also known as Hutchinson fracture, is a type offracture of the forearm, specifically the radial styloid process. The injury is typically caused by compression of the scaphoid bone of the hand against the styloid process of the distal radius. Ref : essential orthopaedics maheshwari and mhaskar 9th ed p 103